Most common cause of air borne contact dermatitis is?
1. Parthenium hysterophorus
2. Poison ivy
3. Poison oak
4. Pollen

Correct answer: 1. Parthenium hysterophorus

Explanation: ANSWER: (A) Parthenium hysterophorusREF: Neena khanna 3rd ed p. 86-89Most common cause of:Allergic contact dermatitis due to metal: NickelAllergic contact dermatitis in Indian females: On hands is detergents, on forehead is para tetra butyl phenol in bindi, ear lobule is nickelAir borne contact dermatitis and plant dermatitis is: Parthenium hysterophorousAllergic contact dermatitis due to cosmetics : Balsam of peruAllergic contact dermatitis due to drug: Neomycin